Most common site for squamous cell carcinoma of esophagus is
1. Upper 1/3
2. Middle 1/3
3. Lower 1/3
4. Upper 1/2

Correct answer: 2. Middle 1/3

Explanation: Ans. is 'b' i.e., Middle 1/3* Esophageal Carcinoma is of two common histological typesi) Squamous cell Ca - the MC type in world (-95% according to Sabiston)ii) Adenocarcinoma - where incidence is increasing at a rapid rate and is now the MC type in USA (Ref: Harrison, Schwartz)* Distribution of Squamous Cell Ca.# Upper 1/3 - 10%# Middle 1/3 - 60%# Lower 1/3 - 30% * Adenocarcinoma is mainly located in lower 1/3.